Pvridoxine should be given when treating with -
1. Isoniazid
2. Rifampicin
3. Pyrazinamide
4. Streptomycin

Correct answer: 1. Isoniazid

Explanation: Ans. is 'a' i.e., Isoniazid o Peripheral neuritis associated with isoniaide probably relates to interference with pyridoxine (vitamin B6).o Thus when treating a patient with isoniazid it is essential to supplement with pyridoxine to reduce chances of peripheral neuritis.